Which drug of anesthetics causes delirium & hallucination
1. Ketamine
2. Trilene
3. Halothane
4. Trichloroethylenev

Correct answer: 1. Ketamine

Explanation: A i.e. Ketamine